Which of the following is Primordial prevention?
1. Action taken prior to the onset of disease.
2. Prevention of emergence of development of risk factors.
3. Action taken to remove the possibility that a disease will ever occur.
4. Action that halts the progress of a disease.

Correct answer: 2. Prevention of emergence of development of risk factors.

Explanation: LEVELS OF PREVENTION: Primordial prevention Prevention of emergence of development of risk factors Done by health education. Primary prevention Action taken prior to the onset of disease Done by health promotion & specific protection. Secondary prevention Action which halts the progress of a disease Done by early diagnosis & treatment Tertiary prevention Action taken during the progression/ end of disease Done by diability limitation & rehabilitation. - Note: All vaccines comes under primary level of prevention - specific protection. All screening & diagnostic tests comes under secondary level of prevention.